Post traumatic stress disorder (PTSD) is differentiated from other disorders by presence of:
1. Nightmares about events
2. Autonomic arousal and anxiety
3. Recall of events and avoidance of similar experiences
4. Depression

Correct answer: 3. Recall of events and avoidance of similar experiences

Explanation: Recall of events and avoidance is quite typical of PTSD. Nightmares, autonomic arousal and depressive symptoms can be seen in other disorders also. Symptoms can be divided into four types:(1) Reexperiencing (e.g., intrusive memories of the event and nightmares)(2) Hyperarousal (e.g., anxiety, increased startle response, impaired sleep, hypervigilance)(3) Emotional numbing (e.g., difficulty connecting with others)(4) Avoidance (e.g., survivor's guilt, dissociation, and social withdrawal) In adjustment disorder: There are emotional symptoms (e.g., anxiety, depression, or conduct problems) causing social, school,or work impairment occurring within 3 mos and lasting less than 6 mos after a serious life event (e.g., divorce, bankruptcy, changing residence) but do not meet full criteria for a mood or anxiety disorder